Drug of choice in Obsessive compulsive disorder is -
1. Imipramine
2. Fluoxetine
3. Alprazolam
4. Chlorpromazine

Correct answer: 2. Fluoxetine